Which of the following increases cerebral oxygen consumption
1. Propofol
2. Ketamine
3. Thiopentone
4. Alfentanyl

Correct answer: 2. Ketamine

Explanation: Ketamine This has been discussed so many times that ketamine increases cerebral oxygen consumption. It increases the intracranial tension too. Thiopentone and propofol decrease cerebral oxygen consumption. Alfentanyl is an opioid and opioids in general reduce cerebral oxygen consumption, cerebral blood flow and intracranial pressure.